HIFU stands for
1. High Intensity Fluoroscopic Ultrasound
2. High Intensity Focused Ultrasound
3. High Interval Fractionated Ultrasound
4. High Interference Fragmented Ultrasound

Correct answer: 2. High Intensity Focused Ultrasound

Explanation: HIFU stands for High-Intensity Focused Ultrasound. HIFU uses High Intensity Focused Ultrasound beam in the treatment of uterine fibroids and other lesions. it acts due to the thermal, mechanical and cavitational effects of the high-intensity Ultrasound beam in tissues.